Parasympathetic supply to lacrimal glands are passed through ?
1. Lesser petorsal nerve
2. Chorda tympani
3. Greater petorsal nerve
4. Lingual nerve

Correct answer: 3. Greater petorsal nerve

Explanation: Greater petorsal nerve